At what period does the tuberculosis flare up most commonly in a pregnant patient?
1. First trimester
2. Second trimester
3. Third trimester
4. Puerperium

Correct answer: 4. Puerperium

Explanation: Pregnancy will not worsen the clinical course of the disease,if under treatment .However,there is an increased chance of relapse in the peurperium. Refer page no 324 and AIPGME question and answer given on page no 326 of Text book of obsteics,sheila balakrishnan,2 nd edition.